A one day old baby presents with excessive frothing from mouth and baby was cyanosed:
1. Esophageal atresia
2. Diaphragmatic hernia
3. Congenital lung cyst
4. Lung hypoplasia

Correct answer: 1. Esophageal atresia

Explanation: a. Esophageal atresia(Ref: Nelson's 20/e p 1783, Ghai 8/e p 176)Congenital diseaseMode of presentationCong diaphragmatic herniaNew born with cyanosis, respiratory distress, shift of mediastinum and scaphoid abdomenBilateral choanal atresiaNew born with feeding difficulty, cyanosis on closing mouth, which disappears on cryingPure esophageal atresiaNeonate with frothing and bubbling at mouth and nose, with coughing, cyanosis and respiratory distress; X-ray shows coiled feeding tube in esophageal pouch and absent gastric air shadow